Which of the following can infect ovary:
1. Mumps virus
2. EBV
3. CMV
4. Measles virus

Correct answer: 1. Mumps virus

Explanation: Ans. a. Mumps virus